Which of the following statements regarding barbiturates is accurate ?
1. Benzodiazepines exhibit a steeper dose response relationship as compared to barbiturates
2. Barbiturates may increase the half lives of drugs metabolized by the liver
3. Alkalization of the urine will accelerate the elimination of phenobarbital
4. Respiratory depression caused by barbiturate overdosage can be reversed by flumazenil

Correct answer: 3. Alkalization of the urine will accelerate the elimination of phenobarbital

Explanation: Barbiturates are acidic drugs. These are ionized in the alkaline urine and thus cannot be reabsorbed. Alkalinization of urine can be used to accelerate the elimination of barbiturates in poisoning.
Other differences between benzodiazepines and barbiturates include.